Fourchette is formed by?
1. Joining of labia majora
2. Joining of labia minora
3. Joining of labia majora with minora
4. Junction of cervix and vagina

Correct answer: 2. Joining of labia minora

Explanation: Ans. is'b'i.e., Joining of labia minoraFourchette :The fourchette is a thin fold of skin, identified when the labia are separated, and it is often torn during parturition.The fossa navicularis is the small hollow between the hymen and the fourchette.The labia minora lie between the labia majora, with which they merge posteriorly, and are separated into two folds as they approach the clitoris anteriorly.The anterior folds unite to form the prepuce or hood of the clitoris.The posterior folds form the frenulum ofthe clitoris.Inferiorly, the labia minora extend to approach the midline as low ridges of tissue that fuse to from the fourchette